Lactic acidosis is common in
1. Metformin
2. Phenformin
3. Repaglinide
4. Rosiglitazone

Correct answer: 2. Phenformin

Explanation: (Phenformin) (247-KDT) (689-BB) (267-KDT 6th)* Lactic acidosis more common in Phenformin and rare in Metformin* * Hypoglycemia is the most common adverse effect with sulphonyl ureas.Repaglinide indicated only in type 2 DM as an alternative to sulfonyl ureas.* It should be avoided in liver diseaseRosiglitazone - Thiozolidinediones* It is indicated once daily in patients not controlled by metformin alone.* It is contraindicated by cardiac or hepatic failure.* Weight gain and oedema are the main adverse effects others - headache, myalgia and mild anaemia